Gum hypertrophy is an adverse effect of the following drug when used at therapeutic levels :
1. Phenobarbitone
2. Phenytoin
3. Carbamazepine
4. Sodium valproate

Correct answer: 2. Phenytoin